Globular heart with plethoric lung fields is seen in
1. TGA
2. TAPVC
3. Tricuspid atresia
4. Ebstein's anomaly

Correct answer: 1. TGA

Explanation: Globular heart with plethoric lung fields - TGA
Globular heart with Oligemic lung fields - Tricuspid atresia, Ebstein's anomaly